Ohgren's line passes from -
1. Medial canthus to angle of mandible
2. Lateral canthus to angle of mandible
3. Medial canthus to mastoid process
4. Lateral canthus to mastoid process

Correct answer: 1. Medial canthus to angle of mandible

Explanation: Ans. is 'a' i.e., Medial canthus to angle of mandible Ohngren's classification of maxillary carcinoma:o Presented by the ohngren's line which passes from the medial canthus of the eye to the angle of mandible,o The growths situated above this plane have a poorer prognosis than those situated below.Ohngren's line (1933)o A line from medial canthus of the eye to the angle of the mandible.# Anteroinferior/infrastructure : Good prognosis.# Superoposterior/suprastructure: Poor prognosis, early extension (eye, skull base, pterygoids, and intratemporal fossa).